Complex granular corpuscles are produced by -
1. Oligodendrocytes
2. Astrocytes
3. Microglia
4. Vascular endothelium

Correct answer: 3. Microglia

Explanation: Complex granular corpuscels are produced by microglia.